Sandwich technique consists of:
1. GIC and composite
2. Amalgam and GIC
3. Amalgam and composite
4. None of the above

Correct answer: 1. GIC and composite